4 month Infant with cough, respiratory rate > 60/min, with no retraction, management (According to IMNCI protocol) -
1. IM antibiotic & refer urgently
2. Oral antibiotic, explain danger sign & follow up
3. Explain danger sign & follow up
4. IM antibiotic & hospitalise

Correct answer: 2. Oral antibiotic, explain danger sign & follow up

Explanation: Am. is 'b' i.e., Oral antibiotic & explain danger sign & follow up In IMNCI (2 months -5 years)o Cougho Respiratory rateClassified as fast breathingCategory-I. Any Danger signSevere pneumoniaIM antibioticororRefer urgentlyChest indrawingVery severe disease or Stridor II Fast breathing - Pneumonia - Oral antibiotic, tell danger sign & follow up in 2 days.III No pneumonia - Tell danger sign & follow up.